Histology for type 2 autoimmune pancreatitis characteristically demonstrates:-
1. IgG4 positive plasma cells > 10/HPF
2. Granulocytic epithelial lesion
3. Storiform fibrosis
4. Microvascular thrombosis

Correct answer: 2. Granulocytic epithelial lesion

Explanation: Option B- Granulocytic infiltration Autoimmune Pancreatitis Duct-centric mixed inflammatory cell infiltrate, venulitis, and increased numbers of IgG4-secreting plasma cells. Type - 1 Type -2 IgG4 Plasma cells >10 / HPF IgG4 plasma cells < 10 / HPF Storiform fibrosis Granulocytes epithelial lesion Venous thrombosis